Root of radial nerve:
1. C6,C7,T1
2. C5,C6,C7,T1
3. C5,C6,C7,C8,T1
4. C4,C5,C6,C7,C8,T1

Correct answer: 3. C5,C6,C7,C8,T1

Explanation: Ans. (c) C5, C6, C7, C8, T1Ref: BDC 6th ed. vol. I / 55-56